Nerve compressed by aneurysm of posterior communicating artery is -
1. Occulomotor nerve
2. Optic nerve
3. Hypophysis cerebri
4. Trochlear nerve

Correct answer: 1. Occulomotor nerve